One of the following causes nephrotoxicity and hypertension which is similar to cyclosporine:
1. Azathioprine
2. Cyclophosphamide
3. Mycophenolate mofetil
4. Tacrolimus

Correct answer: 4. Tacrolimus

Explanation: Tacrolimus (FK 506) is an immunosuppressant macrolide antibiotic produced by Streptomyces tsukubaensis. Tacrolimus binds to the immunophilin FK-binding protein (FKBP). This complexe inhibit calcineurin, which is necessary for the activation of the T-cell-specific transcription factor NF-AT. Its toxic effects are similar to those of cyclosporine and include nephrotoxicity, neurotoxicity, hyperglycemia, hypertension, hyperkalemia, and gastrointestinal complaints. Ref: Lake D.F., Briggs A.D., Akporiaye E.T. (2012). Chapter 55. Immunopharmacology. In B.G. Katzung, S.B. Masters, A.J. Trevor (Eds), Basic & Clinical Pharmacology, 12e.